Numerator of Dependency ratio is:
1. Population >10 years and <65 years
2. Population <15 years and >65 years
3. Population <10 years- and >60 years
4. Population >15 years and >60 years

Correct answer: 2. Population <15 years and >65 years

Explanation: Ans. (b) Population <15 years and >65 yearsRef: K. Park 23rd ed. / 484* Dependency ratio is the proportion of persons above 65 years of age and children below 15 years of age who are considered to be dependent on economically productive age group (15-64).Dependency Ratio =Persons <15 yrs + > 65 yrs------------------------Persons between 15 to 65 yrs* Dependency ratio of India is 62 per 100 or 0.62. this means 62 non-earning peoples in India are dependent on 100 earning population.